A 28 year old female patient complains of abdominal pain and swelling. Patient gives h/o multiple diagnostic CT-scans of the abdomen and pelvis. Patient is 10 weeks pregnant. Which of the following effects may be present in this fetus?
1. Microcephaly
2. Intellectual disability
3. Both of the above
4. None of the above

Correct answer: 3. Both of the above

Explanation: In humans, fetal irradiation is associated with microcephaly (irradiation at 8 to 15 weeks gestation) and intellectual disability (irradiated at 8 to 25 weeks gestation).
 
Reference: White and Pharoah, Oral radiology, ed 8th, pg-96